Cause of death in breech delivery :
1. Intracranial hemorrhage
2. Asphyxia
3. Atlanto axial dislocation
4. All

Correct answer: 4. All

Explanation: Ans. is a, b and c i.e. Intracranial hemorrhage; Atlanto axial dislocation; and Asphyxia The risk of fetal mortality and morbidity are greatly increased in the vaginal breech delivery Fetal mortality is least in frank breech and maximum in footling presentation (as the chances of cord prolapse are more). Gynaecoid and anthropoid pelves are favourable for the after coming head. The fetal risk in multipara is no less than that of primigravida because of increased chances of cord prolapse associated with flexed breech which occurs in multipara. The main causes of increased perinatal mortality and morbidity in breech are : Prematurity Increased incidence of Congenital anomalies. Birth asphyxia : -- Due to cord prolapse or cord compression. -- Due to prolonged delivery and delay in the after coming head. Birth trauma due to rough handling during delivery and failure to use the femoropelvic grip : Intracranial hemorrhage due to uncontrolled delivery of the head and rupture of the veins of Galen or tentorial or falx tears. Skull fractures can also occur. -- Fracture dislocation of cervical vertebra, atlantoaxial dislocation and occipital diastasis. Cervical and brachial plexuses injuries, including Erb's palsy. Complete transection of spinal cord. -- Sternocleidomastoid hematoma and later torticollis. Rupture liver and spleen. Fracture of femur, clavicle or humerus. Damage to the fetal adrenals. Traumatised pharynx due to the obstetrician's finger. Ans. is a, c and d i.e. Intracranial hemorrhage; Atlanto axial dislocation; and Asphyxia